Kiss ulcer of larynx is due to:
1. Vocal abuse
2. Papilloma
3. Vocal nodule
4. Tuberculosis

Correct answer: 1. Vocal abuse

Explanation: Ans. A i.e. Vocal abuse